Which of the following monoclonal antibody can be used in Clostridium difficile infection ?
1. Canakinumab
2. Dupilumab
3. Certolizumab
4. Bezlotoxumab

Correct answer: 4. Bezlotoxumab

Explanation: Bezlotoxumab is a monoclonal antibody against Clostridium toxin is  used in the treatment of clostridium difficile infection.